Lens has a respiratory quotient of:
1. 1
2. 0.6
3. 0.7
4. 0.9

Correct answer: 1. 1

Explanation: Ans. 1